A 3 year old boy with normal developmental milestones with delayed speech and difficulty in communication and concentration. He is not making friends. Most probable diagnosis is ?
1. Autism
2. ADHD
3. Intellectual disability
4. Specific learning disability

Correct answer: 1. Autism

Explanation: Ans. is 'A' i.e., Autism Delayed speech, difficulty in communication and concentration in a 3 year old child suggests the diagnosis of autism. Autism is characterized by impaired social interaction and communication, and by restricted and repetitive behavior. These signs all begin before a child is three years old. Autism affects information processing in the brain by altering how nerve cells and their synapses connect and organize It is one of three recognized disorders in the autism spectrum, the other two being Asperger syndrome, which lacks delays in cognitive development and language, and pervasive developmental Disorder-not otherwise specified (commonly abbreviated as PDD-NOS)